Occlusion of common carotid arteries on both sides leads to
1. Increase in heart rate and BP
2. Increase in BP and decrease in heart rate
3. Decrease in heart rate and BP
4. No effect on heart rate and BP

Correct answer: 1. Increase in heart rate and BP

Explanation: Occlusion of both common carotid arteries causes an increase in HR and BP. Reduced sinus pressure - response carried to nucleus tractus solitarius glossopharyngeal and vagus nerve -less inhibitory effect on the vasomotor center. Decreased parasympathetic activity to the heart- increases heart rate. Increased sympathetic activity to the heart and blood vessels - increases heart rate, contractility, constricts arterioles - increases TPR, constricts veins- increases venous return. The carotid baroreceptors are located in the walls of the carotid sinus, which is located at or slightly above the bifurcation of the common carotid arteries. So, the occlusion of common carotid arteries is occlusion proximal to the carotid sinus. If the occlusion is distal to the carotid sinus -increase in sinus pressure - activation of baroreceptor reflex- decrease in BP and HR. Ref: Guyton and Hall 13th edition Pgno: 166